The main barrier for diffusion of LA is:
1. Epineurium
2. Endoneurium
3. Perineurium
4. All of the above.

Correct answer: 3. Perineurium

Explanation: The main barrier for diffusion of LA is the perineurium. Endoneurium / Nerve membrane is the acute site of action and depend on lipid solubility of drug.